Tidal volume is calculated by:
1. Inspiratory capacity minus the inspiratory reserve volume
2. Total lung capacity minus the reserve volume
3. Functional residual capacity minus residual volume
4. Vital capacity minus expiratory reserve volumes

Correct answer: 1. Inspiratory capacity minus the inspiratory reserve volume

Explanation: A i.e. Inspiratory Capacity minus Inspiratory Reserve volume